Vomiting on the first day of baby's life may be caused by all of the following except –
1. Pyloric stenosis
2. Oesophageal atersia
3. Aerophagy
4. Amniotic gastritis

Correct answer: 1. Pyloric stenosis

Explanation: A large number of normal babies vomit on first day due to irritation of stomach by swallowed amniotic fluid
The regurgitation / vomiting in a neonate is due to -> faulty feeding techniques or, aerophagy
Eosophageal atresia may present with vomiting on the first day.
In hypertrophic pyloric stenosis vomiting characteristically occurs after 2 weeks of age. (2-3 weeks).